Zellweger syndrome is a disorder of -
1. Mitochondria
2. Lysosome
3. Golgi complex
4. Peroxisome

Correct answer: 4. Peroxisome

Explanation: Ans. is 'd' i.e., PeroxisomeType of oxidation of fatty acidOrganelle involvedBeta (b)MitochondriaAlpha (a)Endoplasmic reticulum, MitochondriaOmega (o)Microsomal system (smooth ER)b-oxidation of very long chain FAPeroxisomes